The Anterior Segment of the eye includes all except
1. Anterior chamber
2. Posterior chamber
3. Vitreous
4. Lens

Correct answer: 3. Vitreous

Explanation: Anterior Segment:- Anterior to the lens -Cornea -Iris -Lens -Two aqueous humor filled chambers Anterior chamber between corneal endothelium, angle and iris plane Posterior chamber between iris plane, anterior lens capsule and ciliary body-zonule complex Posterior Segment:- Posterior to the lens -Vitreous humor -Retina -Optic Disc -Choroid